Socrates was killed by which poisoning -
1. Cyanide
2. Conium
3. Strychnine
4. Dhatura

Correct answer: 2. Conium

Explanation: Ans. is 'b' i.e., Conium o Conium (Hemlock) was used to kill socrates.Important facts about poisoningo Poison retarding putrefaction : Strychnine (nox vomica), carbolic acid, heavy metals (like arsenic), and zinc chloride.o Poison causing proximal tubular necrosis: Lead, mercury, arsenic, cadmium, bismuth, phenol (carbolic acid),oxalic acid (oxalate), and ethylene glycol,o Angel dust refers to common name for drug phencyclidine,o Conium (Hemlock) was used to kill socrates.o Oleander (kaner) has two varitiesi) White (Nerium odorum) : Active principle is nerin consisting of three glycosides : neriodorin, neriodorein,and keratin.ii) Yellow (cerbera thevetia) : Active principles are three glycosides : Thevetin, thevotoxin and cerberin.o Conjunctivae are yellow in picric acid poisoningo Corneal ulceration and conjunctival inflammation occurs in copper duct exposure,o Conjunctiva and cornea are grey-blue or blue black in chronic silver poisoning,o Marqui's test is used in morphine poisoning.o A normal GIT rules out poisoning by corrosives (acids and alkalies),o Liver necrosis occurs in phosphorus, CCL, chloroform and trinitrotoluene poisonings,o Poisons produced due to putrefaction - ethyl alcohol and cyanide.o Hot-shot: A dose of narcotic with a poison (like strychnine) used to kill a fellow narcotic addict,o Neurotic poisons can be subdivided into following categories :-1. Somniferous poisons : Produce narcotic analgesia by acting on brain, e.g. opium and its deriivatives.2. Inebriant poisons : Produce generalized CNS depression, e.g. ethyl alcohol, methyl alcohol, barbiturates, chloral hydrate.3. Deliriant poisons : Produce delirium as their major symptom e.g. dhatura, balladonna, hyoscyamus, and cannabis indica.